A 14 year old female patient complains of firm swelling on cheek. Intra-oral examination reveals a firm, fibrous growth of 1×1 cm on buccal mucosa which was excised using laser. The effect produced in this procedure at a temperature above 400°C is:
1. Coagulation
2. Shrinkage
3. Carbonization
4. Explosive expansion

Correct answer: 3. Carbonization

Explanation: Interactions with the substrate can occur in photothermal, photochemical, or other ways. Generally, dental lasers produce photothermal effects, with soft or hard tissue being ablated by the action.
At low temperatures, below 100° C, thermal effects denature proteins, produce hemolysis, and cause coagulation and shrinkage.
Above 100° C, water in soft or hard tissues boils, producing explosive expansion.
Above approximately 400° C, the carbonization of organic materials is completed with the onset of some inorganic changes.
As the temperature increases from 400° to 1400° C, inorganic constituents change in chemistry, may melt and/or recrystallize, and may vaporize.
Sturdevant’s Art and Science of Operative Dentistry, Mosby, 4th Edition, Page No: 327, 326